All of the following are the actions of b-adrenoceptor blockers in CHF except:
1. Decrease in mortality associated with CHF
2. Antagonism of vasoconstriction due to sympathetic over activity
3. Prevention of pathological remodelling of ventricular myocardium
4. Prevention of dangerous cardiac arrhythmias

Correct answer: 2. Antagonism of vasoconstriction due to sympathetic over activity

Explanation: Beta blockers may actually increase vasoconstriction by antagonizing the vasodilator action of b2 receptors. Decreases mortality by reversing LVH. Prevent dangerous cardiac arrhythmias.